Which of the following is not used in diagonosis of insulinoma
1. 72 hows fasting blood glucose levels
2. C peptide levels
3. Insulin/glucose ratio
4. D-xylose test

Correct answer: 4. D-xylose test

Explanation: These blood tests are needed to diagnose insulinoma: glucose insulin C-peptide If available, a proinsulin level might be useful, as well. Other blood tests may help rule out other conditions which can cause hypoglycemia Ref Davidson edition23rd pg837